Least chance of receipient failure in transplant is seen in -
1. Allograft
2. Isograft
3. Xenograft
4. Heterotropic Graft

Correct answer: 2. Isograft

Explanation: Ans. is 'b' i.e., Isograft o As an isograft occurs between two genetically identical individuals the chance of graft failure is the least